Mandibular nerve exits the cranial cavity by passing through -
1. Formanen rotundum
2. Foramenlacerum
3. Stylomastoid foramen
4. Foramenovale

Correct answer: 4. Foramenovale

Explanation: Ans. is 'd' i.e., Foramen ovale FORAMENSTRUCTURES PASSING THROUGH ITForamen ovaleMandibular nerveAccessory meningeal arteryLesser petrosal nerveEmissary vein(MALE)Foramen spinosumMiddle meningeal arteryEmissary veinNervus spinosus(MEN)Foramen lacerummeningeal branch of ascending pharyngeal arteryGreater petrosal nerve unites with deep petrosal nerve to form the nerve of the pterygoid canalCarotid canalInternal carotid artery and the sympathetic plexus around itForamen rotundumMaxillary nervePterygoid canalVidian nerve (nerve of pterygoid canal)Vidian arteryStylomastoid foramenFacial nervejugular foramenInternal jugular veinEmissary veinOccipital arteiyInferior petrosal sinus9th 10th 11th nervesHypoglossal canal12th nerveMeningeal branch of ascending pharyngeal arteryGreater palatine foramenGreater palatine vesselsAnterior palatine nervesIncisive foramenGreater palatine vesselsnasopalatine nervesLesser palatine foramenMiddle and posterior palatine nerves.Internal uccoustic meatusFacial N.Auditory N.Nervus intermediusl wrisberg)Labyrynthine vessels